Gs-alpha mutation my lead to?
1. Mccune Albright syndrome
2. Pseudohypoparathyroidism
3. Pituitary adenomas
4. All of the above

Correct answer: 4. All of the above

Explanation: Ans. (d) All of the above(Ref: Robbins 9th/pg 1077, 1101; 8th/pg 1101, 1127)GSaLoss of functionGain of functionGain or loss of function* Pseudohypopar- athyroidim type la* Pseudohypopar- athyroidim type lb* Pituitary or thyroid adenomas* Leydig cell tumors* McCune-Albright syndrome* Testotoxicosis with pseudohypoparathyroidism type laGi2a: Gain of function* Pituitary adenomas* Adrenal cortex and ovary tumors